Investigation of choice for dysphagia for solids -
1. Barium swallow
2. Endoscopy
3. X ray chest
4. CT scan

Correct answer: 2. Endoscopy

Explanation: Dysphagia for solid food may be due to mechanical causes like: Carcinoma Peptic and other benign strictures Lower oesophagal ring The investigation of choice in mechanical obstruction is endoscopy Barium swallow is the first investigation Ref : CMDT 2005, p 547